Most common congenital anomaly associated with lithium -
1. Cardiac malformations
2. Neural tube defects
3. Renal anomaly
4. Fetal hydantoin syndrome

Correct answer: 1. Cardiac malformations

Explanation: Ans. is 'a' i.e., Cardiac malformations Teratogenic effects of lithium o Lithium carries the risk of teratogenesis if ingested during pregnancy, especially during first trimester. o The most commonly reported congenital malformations are cardiac abnormalities particularly Ebstein's anomaly. o Other congenital malformations have also been described and include neural tube defect, Talipes, Microtia, thyroid abnormalities.